Surgical removal of the torus palatinus is indicated when:
1. Torus impinges on soft palate
2. It interferes with development of proper PPS
3. Torus is an undercut that traps debris and food
4. All of the above

Correct answer: 4. All of the above

Explanation: In addition to above indications, torus should also be removed when it interferes with fabrication of adequately extended denture or when patient is too much concerned about it.